Life span of RBC is:
1. 100 days
2. 120 days
3. 60 days
4. 160 days

Correct answer: 2. 120 days

Explanation: Ans: b (120 days) Ref: Ganong,22nd ed, p. 532In humans RBC survive in circulation for an average of 120 days.Remember Average life span of RBC- 120 daysAverage life span of neutrophil- 6 hoursAverage life span of platelets- 4 daysAverage life span of transfused platelets- 1 dayMonocytes as tissue macrophages-3 months (according to Bone marrow transplantation data.)